Perineural invasion is seen in:
1. Mucoepidermoid carcinoma
2. Acinic cell carcinoma
3. Adenoid cystic carcinoma
4. Pleomorphic adenocarcinoma

Correct answer: 3. Adenoid cystic carcinoma

Explanation: Ans. (c) Adenoid cystic carcinomaRef Bailey 26/e p723* MC type of Adenoid Cystic Carcinoma - Cribriform Pattern which is characterized by Swiss Cheese Appearance.Other name is Cylindroma* MC type of Minor Salivary gland tumor - Adenoid Cystic (Most common site - hard palate)* May invade the nerves (Most common - Facial nerve)* May invade the Haversian System of Bones* MC site of Metastasis is to LUNGS (usually multiple metastasis)